Green colored urine seen in
1. Kerosene
2. OPCs
3. Carbolic acid
4. Paracetamol

Correct answer: 3. Carbolic acid

Explanation: C i.e. Carbolic acid